Neuroleptic malignant syndrome is treated with:
1. Dantrolene
2. Corticosteroids
3. Diazepam
4. Hemodialysis

Correct answer: 1. Dantrolene

Explanation: Ans: A (Dantrolene) Ref: A Short Textbook of Psychiatry by Niraj Ahuja, 7th edition. 2011. JAYPEE.Explanation:NEUROLEPTIC MALIGNANT SYNDROMEIt is a life-threatening neurological disorder most often caused by an adverse reaction to neuroleptic or antipsychotic drugs.NMS typically consists of muscle rigidity, fever, autonomic instability and cognitive changes such as delirium, and is associated writh elevated plasma creatine phosphokinasePresentation: Fairly rare & potentially life- threatening conditionIncreased body temperature >38CCConfused or altered consciousnessDiaphoresis "sweat shock''Rigid musclesAutonomic imbalanceMuscular rigidity, Hyperthermia, autonomic instability & DeliriumAssociated with high dosages of high-potency APMsDiagnosis: Increased CPK levels TreatmentDiscontinuation of the medicationPhysiologic supportive measures (ICU)Dantrolene or Bromocriptine may be used